Alarm system (a reminder technique for digit sucking in mature children) was developed by:
1. Massler
2. Norton and Gellin
3. Benjamin
4. Pinkham

Correct answer: 2. Norton and Gellin

Explanation: Norton and Gellin developed 3 alarm system.